Regarding efficacy and potency of a drug, all are true EXCEPT:
1. In a clinical setup, efficacy is more important than potency
2. In the log dose response curve, the height of the curve corresponds with efficacy
3. ED50 of the drug corresponds to the efficacy
4. Drugs that produce a similar pharmacological effect can have different levels of efficacy

Correct answer: 3. ED50 of the drug corresponds to the efficacy

Explanation: Ans. C. ED50 of the drug corresponds to the efficacyED5 corresponds to the potency of the drugED50 is the dose required to produce desired effect in 50% of individuals. Dose is related to potency not efficacyLD50 is the dose required to produce death in 50% of individualsTherapeutic index (TI): =ED50 LD50 It is a measure of safety of a drug.